All are true about starting of beta-blocker therapy in a case of CHF except-
1. They should be started with optimal doses
2. They should be gradually increased over weeks
3. Special precautions should be taken in cases of NYHA class m and IV
4. Carvedilol and Metoprolol are the preferred drugs

Correct answer: 1. They should be started with optimal doses

Explanation: Ref : Davidsons Principles and practice of medicine_22Ed pg no:552 Beta-adrenoceptor blocker therapy Beta-blockade helps to counteract the deleterious effects of enhanced sympathetic stimulation and reduces the risk of arrhythmias and sudden death. When initiated in standard doses, they may precipitate acute-on-chronic heart failure, but when given in small incremental doses (e.g. bisoprolol started at a dose of 1.25 mg daily, and increased gradually over a 12-week period to a target maintenance dose of 10 mg daily), they can increase ejection fraction, improve symptoms, reduce the frequency of hospitalisation and reduce mortality in patients with chronic heart failure (Box 18.19). Betablockers are more effective at reducing mortality than ACE inhibitors: relative risk reduction of 33% versus 20%, respectively.